Under normal conditions, fertilization occurs in which part of the female reproductive tract?
1. Infundibulum of the Uterine Tube
2. Ampulla of the Uterine Tube
3. Isthmus of the Uterine Tube
4. Uterine Lumen

Correct answer: 2. Ampulla of the Uterine Tube

Explanation: Fertilization normally takes place in the ampulla of the uterine tube. This is the middle segment of the uterine tube, and it is the longest and widest segment. The infundibulum is the funnel-shaped distal end of the uterine tube, and the isthmus is the narrowest part of the uterine tube which connects directly to the uterus. The uterine lumen is the site of implantation, not fertilization. Ref:Cunningham F.G., Leveno K.J., Bloom S.L., Hauth J.C., Rouse D.J., Spong C.Y. (2010). Chapter 5. Maternal Physiology. In F.G. Cunningham, K.J. Leveno, S.L. Bloom, J.C. Hauth, D.J. Rouse, C.Y. Spong (Eds), Williams Obstetrics, 23e.